Most common CNS neoplasm in HIV patient ?
1. Meduloblastoma
2. Astrocytoma
3. Primary CNS lymphoma
4. Ependymoma

Correct answer: 3. Primary CNS lymphoma

Explanation: Ans. is `c' i.e., Primary CNS lymphoma o Primary CNS lymphoma accounts for 2% of extranodal lymphomas and 1% of intracranial tumors. o It is the most common CNS neoplasm in immunosuppressed patients, including those with AIDS and immunosuppression after transplantation.